Which tooth in the permanent dentition is the most
susceptible to dental caries?
1. Maxillary 1st premolar
2. Maxillary 2nd molar
3. Mandibular 1st molar
4. Mandibular 2nd molar

Correct answer: 3. Mandibular 1st molar